Which of the following technique minimizes distortion?
1. Paralleling technique
2. Bisecting angle technique
3. Occlusal radiography
4. None of the above

Correct answer: 1. Paralleling technique

Explanation: The paralleling technique is the preferred method for making intraoral radiographs. It derives its name as the result of placing the image receptor parallel to the long axis of the tooth. This procedure minimizes image distortion.
Ref: ORAL RADIOLOGY Principles and Interpretation,Stuart C. White,Michael J. Pharoah Edition 7 page no 87